Muscle Relaxant most sensitive to patient of mysthenia gravis (M.G.)
1. Scoline
2. Neostigmine
3. Gallamine
4. Decamethonium

Correct answer: 3. Gallamine

Explanation: C i.e. Gallamine